In acoustic neuroma, the earliest ocular finding is -
1. Diplopia
2. Ptosis
3. Loss of pupillary reflex
4. Loss of corneal reflex

Correct answer: 4. Loss of corneal reflex

Explanation: Earliest nerve involved by acoustic neuroma - Vth nerve/trigeminal nerve.
The earliest manifestation of Vth nerve involvement is decreased corneal sensitivity leading to loss of corneal reflex.